Nucleotide is composed of:
1. Nucleobase + sugar
2. Nucleobase + phosphate
3. Nucleobase + sugar + phosphate
4. Sugar + phosphate

Correct answer: 3. Nucleobase + sugar + phosphate

Explanation: NucleotidesThey are biological molecules that form the building blocks of nucleic acids (DNA and RNA) and serve to carry packets of energy within the cell (ATP).In the form of the nucleoside triphosphates (ATP, GTP, CTP and UTP), nucleotides play central roles in metabolism.In addition, nucleotides participate in cell signaling (cGMP and cAMP), and are incorporated into important cofactors of enzymatic reactions (e.g. coenzyme A, FAD, FMN, NAD, and NADP+)A nucleotide is composed of a nucleobase (nitrogenous base), a five-carbon sugar (either ribose or 2-deoxyribose), and one or more phosphate groups.Without the phosphate group, the nucleobase and sugar compose a nucleoside.A nucleotide can thus also be called a nucleoside monophosphate.